A 2-year-old child undergoes tympanostomy tube placement for treatment of chronic bilateral serous otitis media. Which of the following complications is least likely to occur subsequent to surgery?
1. Chronic perforation
2. Cholesteatoma
3. Tympanosclerosis
4. Scarring of the external auditory canal

Correct answer: 4. Scarring of the external auditory canal

Explanation: Tympanostomy tube placement is performed through the external auditory canal with microscopic guidance.The chance of external auditory canal to be scarred is very less. The tympanic membrane is directly visualized after clearing wax and debris from external auditory canal. Otorrhea is the most common sequela, requiring